The rectum is characterized by the presence of
1. Taenia coli
2. Haustrations
3. Permanent transverse mucosal folds within lumen
4. Appendicis epiploicae

Correct answer: 3. Permanent transverse mucosal folds within lumen

Explanation: The transverse folds of the rectum (or Houston's valves) are semi-lunar transverse folds of the rectal wall that protrude into the rectum. These folds are about 12 mm. in width and are composed of the circular muscle coat of the rectum. They are usually three in numberTaenia coli, haustrations and appendices epiploicae are features of ColonRef: Vishram Singh; Volume II; 2nd edition; Page no: 282